Complications of supracondylar fracture of humerus are all except:
1. Elbow stiffness
2. Mal union
3. Non union
4. Myositis ossification

Correct answer: 3. Non union

Explanation: C i.e. Nonunion